Commonest site for spread of the cancers is:
1. Liver
2. Lungs
3. Brain
4. LN

Correct answer: 4. LN

Explanation: Sentinal Lymph Node ( gate keeper/care taker) Lymph node - Tumor cells spread First to these lymph nodes.